Shifting dullness is the characteristic sign of:
1. Hydropneumothorax
2. Pneumothorax
3. Consolidation
4. Collapse

Correct answer: 1. Hydropneumothorax